All of the following is true about leber's hereditary optic neuropathy except
1. Male predominance
2. X-linked recessive trait
3. Profound vision loss
4. Cardiac preexcitation syndrome

Correct answer: 2. X-linked recessive trait

Explanation: X-linked recessive trait Leber hereditary optic neuropathy is transmitted in a pattern of maternal inheritance. The defect is in the Mitochondrial DNA Leber's hereditary optic neuropathy Remember: * Mitochondrial DNA inheritance * Male predominance * Visual loss profound & permanent * Rarely spontaneous recovery may occur * Characteristic fundus picture: Triad of - Microangiopathic telangiectasias - Pseudoedema of disc - Vascular tortuosity * Onset is sudden, mono ocular, painless vision loss.